Intermittent dysphagia is caused by
1. Stricture
2. Achalasia cardia
3. Pharyngeal diverticulum
4. All

Correct answer: 3. Pharyngeal diverticulum

Explanation: Answer is C (Pharyngeal diverticulum) Progressive Achalasia Progressive systemic sclerosis Peptic stricture Carcinoma Intermittent Lower esophageal ring/Spatzki ring Diffuse esophageal spasm Zenker's diverticulum